Which of the following trinucleotide repeat disorder and the repeat is wrongly paired?
1. Kennedy disease - CAG
2. Friedreich's Ataxia - CGG
3. Myotonic dystrophy - CTG
4. Huntington's chorea - CAG

Correct answer: 2. Friedreich's Ataxia - CGG

Explanation: Disease Repeat Fragile X syndrome CGG Friedreich's Ataxia GAA Myotonic dystrophy CTG Spinobulbar muscular atrophy (Kennedy disease), Spinocerebellar ataxia, Huntington's disease CAG